A muscle with dual Nerve supply?
1. Flexor digitorum superficialis
2. Deltoid
3. Brachialis
4. Flexor carpi ulnaris

Correct answer: 3. Brachialis

Explanation: The brachialis is supplied by both musculocutaneous nerve and radial nerve. The musculocutaneous nerve is motor and the radial nerve is proprioceptive. The action of the brachialis is flexion of the forearm at the elbow joint. REF: BD Chaurasia 7th edition Page no: 91.